A 54-year-old male is admitted to the hospital with severe back pain. Radiographic examination reveals carcinoma of the left kidney blocking the drainage of the testicular vein. Which of the following conditions will be most likely associated with these signs?
1. Varicocele
2. Rectocele
3. Cystocele
4. Hydrocele

Correct answer: 1. Varicocele

Explanation: Varicose veins occur with loss of elasticity within the walls of the vessels. As the veins weaken, they simultaneously dilate under pressure. A varicocele often occurs with a varicosity of the veins of the pampiniform venous plexus, resulting in a swelling of the veins. This condition can arise from a tumor in the left kidney, which occludes the testicular vein due to an anatomic constriction. A hydrocele is an accumulation of fluid within the cavity of the tunica vaginalis. Hypospadias occurs from failure of fusion of the urethral and labioscrotal folds, resulting in an external urethral opening on the ventral surface of the penis or in the perineum.